Cognitive model of depression is given by?
1. Ellis
2. Beck
3. Godfrey
4. Meicheinbanon

Correct answer: 2. Beck

Explanation: B. i.e. Beck